Which of the following subtype of lung carcinoma produces superior vena cava syndrome:
1. Small cell carcinoma
2. Adenocarcinoma
3. Anaplastic carcinoma
4. Squamous cell carcinoma

Correct answer: 1. Small cell carcinoma

Explanation: Ans. A: Small cell carcinoma